Schistosoma japonicum resides in
1. Superior mesentric plexus
2. Inferior mesentric plexus
3. Vesicle plexus
4. Gall bladder

Correct answer: 1. Superior mesentric plexus

Explanation: S. haematobium - Vesicle plexus.
S. mansoni - Inferior mesentric plexus.
S. Japonicum - Superior mesentic plexus.